What is the mode of action of Sodium Cromoglycate ?
1. Mast cell stabilization
2. Antihistaminic
3. Anticholinergic
4. None of the above

Correct answer: 1. Mast cell stabilization

Explanation: Ans. is 'a' i.e., Mast cell stabilization